Which statement best describes the tears seen in Mallory-Weiss syndrome?
1. Longtitudinal tears in lower 1/3 esophagus
2. Circumferential tears in lower 1/3 esophagus
3. Longtitudinal tears in middle 1/3 esophagus
4. Circumferential tears in middle 1/3 esophagus

Correct answer: 1. Longtitudinal tears in lower 1/3 esophagus

Explanation: Ans- A. Mallory-Weiss Tear- A Mallory-Weiss tear is a linear mucosal rent near or across the gastroesophageal junction that is often associated with retching or vomiting.